Regarding intrahepatic cholestasis of pregnancy all are true except
1. More common in multifetal gestation
2. Disappears after delivery
3. Mutation of ABCB4 gene is implicated to cause
4. Usually onset is in Early trimester

Correct answer: 4. Usually onset is in Early trimester

Explanation: Onset of intrahepatic cholestasis of pregnancy is usually late in pregnancy.